The segmented genome is found in -
1. Retrovirus
2. Rotavirus
3. Poliovirus
4. Rhabdovirus

Correct answer: 2. Rotavirus

Explanation: Rotavirus has double-stranded RNA with 10-12 segments.
Viruses having segmented genome
Bunyaviridae → 3 segment single-stranded
Orthomyxoviridae → 8 segments single strand Mnemonic: BORA
Reoviridae → 10-12 segment Double-Stranded RNA
Arenaviridae → 2 segment single strand RNA
NOTE:

The only RNA virus having double strand is Reoviridae*
The only DNA virus having single strand is Parvovirus*